Which of the following does not drain into the sub 
mental lymph nodes?
1. Upper lip
2. Tip of tongue
3. Floor of mouth
4. Central lower lip

Correct answer: 1. Upper lip